What is the most important aspect of management of burn injury in the first 24 hour& ?
1. Fluid resuscitation
2. Dressing
3. Escharotomy
4. Antibiotics

Correct answer: 1. Fluid resuscitation